Evertor of ankle inserted into the medial cuneiform is?
1. Peroneus longus
2. Peroneus brevis
3. Tibialis anterior
4. Tibialis posterior

Correct answer: 1. Peroneus longus

Explanation: Peroneus longus REF: Wheeless' Textbook of Orthopaedics ( longus), Gray's anatomy 39th edition page 1496, 1499, 1501Peroneus longus inserts to lateral margin of plantar surface of 1st cuneiform and proximal end of 1st metatarsal. it participates in plantar flexion and eversion of the foot at the anklePeroneus brevis inserts into tuberosity on lateral side of proximal end of 5th metatarsal and participates in plantar flexion and eversion of the foot.Tibialis anterior is a dorsiflexor of the ankle joint and invertor of the foot.Tibialis posterior is the principal invertor of the foot